Heat stroke differs from heat cramps or heat exhaustion in that it
1. Is associated with dehydration
2. Is associated with hypovolemia
3. Is associated with fever
4. Results in a hemorrhagic stroke

Correct answer: 3. Is associated with fever

Explanation: The key difference between heat stroke and heat cramps or exhaustion is the presence of fever. Heat stroke is associated with a core body temperature above 40degC and is subdivided into exertional and classic types. Neither type is associated with a hemorrhagic stroke. The exertional type is most commonly seen in people working or running outdoors in hot or humid climates. Characteristic findings include hot, dry skin, with or without sweating; profound lactic acidosis; rhabdomyolysis with myoglobinuria; the potential for acute tubular necrosis; and potential for disseminated intravascular coagulation. The classic type is most commonly seen in chronically ill patients, alcoholics, very young patients, the elderly, or morbidly obese people in hot or humid weather. It can be precipitated by drugs that inhibit sweating (e.g., anticholinergics, phenothiazine). Ref: Krishnan vij Textbook of Forensic Medicine and Toxicology; 5th ed; Page no: 160